"Break bone fever" is:
1. Rheumatic fever
2. Dengue fever
3. Rat-bite fever
4. Relapsing fever

Correct answer: 2. Dengue fever

Explanation: (Dengue fever): Ref: 111, 1164-H (1230-H17th)DENGUE FEVER: - Caused by (4 - serotype) Aedes - aegpti (flavi virus)* Headache, musculoskeletal pain ("break bone fever"): leukopenia occasionally biphasic ( "saddleback") fever* Macular rash on the first day, as well as adenopathy, palatal vesicles and scleral injection* Epistaxis and scattered petectiae are often noted in uncomplicated dengue, and preexisting GI lesion may bleed during the acute illness* Leucopenia, thrombocytopenia and increased aminotransferase